Hera Lal's 10 year old child present in casualty with snakebite since six hours. On examination no systemic signs are found & lab investigation are normal except localized swelling over the leg of < 5 cm. Next step in management would be -
1. Incision & suction of local swelling
2. I/V polyvalent antivenom
3. Subcutaneous anti venom at local swelling
4. Observe the patient for progression of symptoms wait for antivenom therapy

Correct answer: 4. Observe the patient for progression of symptoms wait for antivenom therapy

Explanation: If within six hours of snake bite, the child has no systemic signs and no hematological abnormalities (normal lab investigations), simple observation and symptomatic treatment is sufficient.
Antivenom (option b & c) is indicated only when there are signs of severe systemic toxicity or rapidly progressive and several local findings.
Local incision and suction is not advised in management of snake bite as it can cause local injury and nerve damage.